Liver and spleen produce RBC's for
1. Prenatal life
2. First year of life
3. Upto five years of life
4. Lifelong

Correct answer: 1. Prenatal life

Explanation: Ans. a (Prenatal life). (Ref. Nelson, Paediatrics, 17th/pg.l599; Dutta, Obst., 4th/pg.42)DEVELOPMENTAL HEMATOPOIESIS OCCURS IN ANATOMICAL STAGESMesoblasticHepaticMyeloidYolk sacLiverBone marrow10-14th day to 10-12 weeks6-8 weeks to throughout the gestation5th month to throughout life long